Afrezza is used to treat post prandial hyperglycemia available in color coded formulations yellow colour indicates
1. 4IU
2. 8IU
3. 12IU
4. 16IU

Correct answer: 3. 12IU

Explanation: Afrezza is inhalational form of insulin available in color coded forms
Blue : 4IU
Green : 8IU
Yellow : 12IU